Symmetrical multiple lesions are seen in which type of leprosy?
1. Border line
2. Neuritic
3. Lepromatous
4. Tubercular

Correct answer: 3. Lepromatous

Explanation: Ans. c (Lepromatous)(Ref. Robbins, Pathologic Basis of Disease, 6th/pg.30)Characteristics of Lepromatous leprosy# Numerous, small, bilaterally symmetrical widespread skin lesions (involving face, ear lobes, etc.)# Ill-defined macules which get nodular# Sensations are unimpaired# Early involvement of face common# Nasal stuffiness & epistaxis common# Characteristics of Tuberculoid leprosy# One or few erythematous indurated plaques with uniformly raised well-defined border# Lesions are hypoaesthetic.